Which layer of epidermis is responsible for its proliferation and turn over
1. Spinous layer
2. Stratum lucidum
3. Basal Layer
4. Granular layer

Correct answer: 3. Basal Layer

Explanation: Basal layer is the most undifferentiated layer of epidermis   and the layer in which most proliferation occurs.